Corpora amylacea is seen in
1. Prostate
2. Seminal vesicle
3. Thymus
4. Testis

Correct answer: 1. Prostate

Explanation: Corpora amylacea are small hyaline masses of unknown significance found in the prostate gland, neuroglia, and pulmonary alveoli. They are derived from degenerate cells or thickened secretions and occur more frequently with advancing age. Ref - BDC 6e vol2 pg410 ,researchgate.net